Minimum alveolar concentration (MAC) of sevoflurane in % is –
1. 0.75
2. 0.42
3. 1.15
4. 2

Correct answer: 4. 2

Explanation: MAC of sevoflurane is 2.